Koenen's tumor are seen in ?
1. Neurofibromatosis
2. Tuberous sclerosis
3. Struge weber syndrome
4. Tuberculosis

Correct answer: 2. Tuberous sclerosis

Explanation: Koenen tumors, or periungual and subungual fibromas, are a benign, cutaneous manifestation of tuberous sclerosis. They are disfiguring, painful, and challenging to treat as they frequently recur . Koenen's tumor is a cutaneous condition that results in fifty percent of tuberous sclerosis cases. Ref - Davidson 23rd edition pg 838